Coronary Ligament is present in:
1. Shoulder Joint
2. Hip Joint
3. Knee Joint
4. Ankle Joint

Correct answer: 3. Knee Joint

Explanation: Ans. C. Knee JointThe coronary ligaments of the knee (also known as meniscotibial ligaments) are portions of the joint capsule which connect the inferior edges of the fibrocartilaginous menisci to the periphery of the tibial plateaus.